Transovarian transmission is a feature of -
1. Scrub typhus
2. Epidemic typhus
3. Endemic typhus
4. Trench fever

Correct answer: 1. Scrub typhus

Explanation: In scrub typhus, the infection is maintained in nature transovarially from one generation of mite to the next. Ref: PARK'S TEXTBOOK OF PREVENTIVE AND SOCIAL MEDICINE 23rd edition pg 300